Osteosarcoma can develop in:
1. Osteoid osteoma
2. Osteoblastoma
3. Paget's disease
4. All of the above

Correct answer: 3. Paget's disease

Explanation: Ans: c (Paget's disease) Ref: Maheswari, 4th ed,p. 221Osteosarcoma can develop secondary to premalignant diseases of the bone.They are usually less malignant & seen in the older age group.Premalignant lesions are:* Paget's disease* Diaphyseal aclasis* Enchondromatosis* Post radiation